Histamine release is one of the common features with administration of
1. Atracurium
2. Adrenaline
3. Thiopentone
4. Ketamine

Correct answer: 1. Atracurium

Explanation: histamine is released by atracurium , all skeletal musle relaxants release histamine other drugs releasing histamine are morphine,vancomycin etc. Ref: kd tRipathi 8th ed.